Which of the following conditions disappear spontaneously in first year of life?
1. Port wine stain
2. Naevus flammeus
3. Salmon's patch
4. Strawberry hemangioma

Correct answer: 3. Salmon's patch